Blood supply of stomach -a) Rt. Gastric arteryb) Lt. Gastric arteryc) Splenic arteryd) Inferior phrenic arterye) Superior mesenteric artery
1. ab
2. bc
3. acd
4. abc

Correct answer: 4. abc